The appearance of markedly vacuolated, nucleated red cells in the marrow, anemia and reticulocytopenia are characteristic dose-dependent side effects of :
1. Azithromycin
2. Chloramphenicol
3. Clindamycin
4. Doxycycline

Correct answer: 2. Chloramphenicol